Flexion of metacarpophalangeal joint is produced by?
1. Lumbricals
2. Dorsal interossei
3. Palmar interossei
4. All of the above

Correct answer: 4. All of the above

Explanation: Ans. is 'd' i.e., All of the aboveMetacarpophalangeal joints o These are ellipsoid joints between head of metacarpals and base of proximal phalanx. Movement at MCP joints are flexion, extension, abduction and adduction.Movement Muscles producing movementsFlexion Main muscles :- The lumbricals and the interossei. Supportive :- Flexor digitorum profundus and superficialis.Extension Main muscles :- Extensor digitorum.Supportive muscles :-Extensor indicis (for index finger), Extensor digiti minimi (for little finger)Adduction Palmar interosseiAbduction Dorsal interosseiImportant fact MCP joint is functionally an ellipsoid joint, but it is condylar joint structurally.